All are component of urogenital diaphragm except :
1. Left transverse perenii profundus
2. Right transverse perenii profundus
3. Sphincter Urethrae
4. Transverse perenii superficialis

Correct answer: 4. Transverse perenii superficialis

Explanation: D i.e. Transverse perenii superficialis- Superficial perineal muscles include bulbospongiosus, ischiocavernosus & superficial transverse perinei- Perineal body is formed by superficial & deep transverse perini, levator ani, bulbospongiosus, sphincter urethrae & external anal sphincter.Superficial transverse perinii muscle is a part of perineal body & is cut in episiotomy but is not a part of urgenital diaphragm, which is formed by deep transverse perinii, sphincter urethrae and perineal membrane